Which of the following substances, actively transported by the tubular cells has higher tubular transport maximum?
1. Plasma protein
2. Hemoglobin
3. Glucose
4. Sodium

Correct answer: 3. Glucose

Explanation: Highest transport maximum (Tm)is for glucose -375mg/minute Ref : Ganong 25th ed/page 680